In post core which of following gutta-percha technique is used
1. Thermoplasticized
2. Vertical
3. Sectional
4. Lateral

Correct answer: 3. Sectional